Which of the following is NOT a complication of Congenital Rubella Syndrome (CRS)?
1. Retinopathy
2. Spontaneous abortion
3. Cardiac abnormalities
4. Macrocephaly

Correct answer: 4. Macrocephaly

Explanation: Pregnant women infected with rubella are at higher risk for spontaneous abortion, fetal infection, growth restriction, and fetal demise. In developing countries without national guidelines for rubella vaccination, the burden of disease is higher, and CRS affects from 10-90 per 100,000 live births. Common anomalies associated with CRS include deafness (60-75%), eye defects such as cataracts or retinopathy (10-30%), central nervous system anomalies (10-25%), and cardiac malformations (10-20%). Other findings include microcephaly, growth retardation, hepatosplenomegaly, hemolytic anemia, and thrombocytopenia. Late manifestations of CRS include hearing loss, endocrine disorders, immune defects, and panencephalitis. Ref: Nayeri U., Thung S. (2013). Chapter 15. Congenital Fetal Infections. In A.H. DeCherney, L. Nathan, N. Laufer, A.S. Roman (Eds), CURRENT Diagnosis & Treatment: Obstetrics & Gynecology, 11e.